A most common cause of nongonococcal septic arthritis is
1. H.influenza
2. Staph-aureus
3. Pseudomonas
4. Streptococcus

Correct answer: 2. Staph-aureus

Explanation: Staphylococcus aureus is a Gram-positive, round-shaped bacterium that is a member of the Firmicutes, and it is a member of the normal flora of the body, frequently found in the nose, respiratory tract, and on the skin.